All the following are yeast like fungi except?
1. Candida
2. Geotrichum
3. Cryptococcus
4. Trichophyton

Correct answer: 4. Trichophyton

Explanation: Ans. is 'd' i.e., Trichophyton